Which of the following is false about renal artery stenosis
1. Hypertension
2. Renin elevated
3. Kidneys are asymmetrical in size
4. Improvement of renal function on angiotensin II receptor blockers

Correct answer: 4. Improvement of renal function on angiotensin II receptor blockers

Explanation: Deterioration of renal function on ACE inhibitors or angiotensin II receptor blockers.